All of the following are true about Kluver-Bucy syndrome expect:
1. Hypersexuality
2. Hyperactivity
3. Hypermetamorphosis
4. Placidity

Correct answer: 2. Hyperactivity

Explanation: Ans. b. Hyperactivity (Ref: Gannog 23/e p123-124 Guyton 12/e p84-85; Bradley's Neurology in Clinical Practice 6/e p1571)Hyperactivity is not seen in Kluver-Bucy syndrome.Kluver-Bucy syndrome is characterized by visual agnosia, hypersexuality, hypermetamorphosis. hyperorality, placidity or tameness or docility. Kluver-Bucy SyndromeLocation of LesionSymptomsAssociated Symptoms* Bilateral anterior temporal lobeQ (Amygdala) Q* HyperoralityQ* Abnormal sexual behavior or hypersexualityQ* Altered dietary habits* Hyper-metamorphosisQ* PlacidityQ or tameness or docilityQ* Visual agnosiaQ* Depression,* Apathy, agitation, anxiety,* Motor-sensory deficits* Memory and frontal lobe deficits